Greater risk of carcinoma of stomach is associated with-
1. Old age
2. Intestinal metaplasisa
3. Cardiac end ulcer
4. Prepyloric ulcer

Correct answer: 2. Intestinal metaplasisa

Explanation: Ans. is 'b' i.e., Intestinal metaplasia